Which of the following is not a derivative of the middle ear cleft-
1. Semicircular canal
2. Mastoid aircell
3. Tympanic cavity
4. Eustachian tube

Correct answer: 1. Semicircular canal

Explanation: Ans. is 'a' i.e., Semicircular canal o The middle - ear cleft in the temporal bone includesEustachian tubeThe middle ear (tympanic cavity)Aditus wrhich leads posteriorly to the mastoid antrum and air cells.